On complete hydrolysis of DNA, we will get all of the following except
1. Adenosine
2. Purine base
3. Phosphoric acid
4. Dexose pentose sugar

Correct answer: 1. Adenosine

Explanation: DNA is a polymer of nuleotides (deoxyribonucleotides). Thus, its monomeric unit is nucleotide :-